During pregnancy, maximum urinary hCG level is reached in:
1. 30 days
2. 50 days
3. 70 days
4. 90 days

Correct answer: 3. 70 days

Explanation: Placenta starts producing hCG 8 days post fertilization hCG values keep on increasing and reach maximum at 10 weeks(60-70 days) After 10 weeks, hCG levels begin to decline and are minimum at 16 weeks. After 16 weeks,hCG value reaches plateau.